Definition of health given by WHO includes which of the following dimension -
1. Social
2. Physical
3. Mental
4. All

Correct answer: 4. All

Explanation: Ans. is 'a' i.e., Social; 'b' i.e., Physical; 'c' i.e., Mental HEALTH o Health is one of the most difficult terms to define. o Health can mean different things to different people. o The WHO has attempted to construct a positive definition of health. o WHO definition of health is ? "Health is a state of complete physical, mental and social well being and not merely an absence of disease or infirmity". o In recent years, this statement has been amplified to include "the ability to lead a socially and economically productive life". o Operational definition of health ? "A condition of human expressing the adequate functioning of the organism in given conditions, genetic or environmental". Dimensions of health o Health is multidimensional. o These dimensions functions and interact with one another - i) Physical dimension --> Perfect functioning of the body. ii) Mental dimension --> A state of balance between oneself and surrounding world. iii) Social dimension -> Quantity and quality of an individual's interpersonal ties and the extent of involvement with the community. iv) Spiritual dimension Part of the individual which reaches out and strives for meaning and purpose of life. v) Emotional dimension -> Feeling of an individual. vi) Vocational dimension -> Related to individual's work & occupation. v) Others -> Philosophical dimension, cultural dimension, educational dimension, nutritional dimension, curative dimension, preventive dimension.